Peripheral arterial disease can be treated by all, EXCEPT:
1. Pentoxifylline
2. Cilostazol
3. Sildenafil
4. Percutaneous angioplasty

Correct answer: 3. Sildenafil

Explanation: Pentoxifylline, a xanthine derivative, is thought to act by reducing the viscosity of blood, allowing it to flow more easily through partially obstructed areas. Cilostazol, a phosphodiesterase type 3 (PDE3) inhibitor, is poorly understood, but may have selective antiplatelet and vasodilating effects. Both drugs have been shown to increase exercise tolerance in patients with severe claudication. Percutaneous angioplasty with stenting is often effective in patients with medically intractable signs and symptoms of ischemia. Ref: Katzung, 11th edition, Chapter 12.